Which one of the following clinical features are NOT seen in pheochromocytoma?
1. Hypertension
2. Episodic palpitations
3. Weight loss
4. Diarrhea

Correct answer: 4. Diarrhea

Explanation: In pheochromocytoma, there are paroxysms of hypertension and finally, give way to continuous hypertensive state. 
During attacks, the patient complains of a headache, palpitations, abdominal pain, and dizziness; pallor, vomiting, and sweating also occur. 
The child has a good appetite but because the hypermetabolic state does not gain weight, and severe cachexia may develop.